The glycemic index for glucose is:
1. 0.5
2. 1
3. 1.5
4. 2

Correct answer: 2. 1

Explanation: Glycemic index Glycemic index of the food item is ability of that food item to raise blood sugar upon consumption It has practical utility in management of diabetes & control of obesity. Glucose is taken as standard , so glycemic index is 1 or 100. Low GI - Slow release of sugar into small intestine & slow absorption into blood - GI ranges from 55 / less - Eg: most fruit & vegetables (except potatoes, watermelon and sweet corn), whole grains, pasta foods, beans, lentils etc. Medium GI - GI b/w 56-69 - Eg: sucrose, basmati rice, brown rice etc. High GI - Readily digestible & absorbable sugars. - GI >= 70 - Eg: corn flakes, baked potato, some white rice varieties (e.g. jasmine), white bread, candy bar, syrupy foods etc.